Suramin is the drug of choice for
1. Brill Zeinsser disease
2. Rocky mountain spotted fever
3. African trypanosomiasis
4. Q fever

Correct answer: 3. African trypanosomiasis